Posterior relation of portal vein -
1. Pancreas
2. Gall bladder
3. Inf. vena cava
4. CBD

Correct answer: 3. Inf. vena cava

Explanation: Ans. is 'c' i.e., IVC Important relations about portal vein o Infraduodenal part i) Anterior :- Neck of pancreas ii) Posterior :- IVC o Retroduodenal part i) Anterior :- 1stpart of duodenum, bile duct, gastroduodenal artery ii) Posterior :- IVC o Supraduodenal part i) Anterior :-Hepatic artery, bile duct ii) iPosterior :- IVC, separated by epiploic formen